All of the following are features of Apoptosis, except:
1. Cellular swelling
2. Nuclear compaction
3. Intact cell membrane
4. Cytoplasmic eosiophilia

Correct answer: 1. Cellular swelling

Explanation: Characteristic apoptotic feature include cell membrane blebbing, Cell shrinkage, chromatin condensation (nuclear compaction) and DNA fragmentation. As it can be seen cell shrinkage and not cellular swelling in seen in apoptosis. Ref: Cell Apoptosis Research Advances By Caer R. Kettlewoh, Nova Publishers, 2007, Page 147; Robbins Basic Pathology, 7th Edition, Page 27All of the following are features of Apoptosis, except.